PSGN (post strept. GN) asso. with ?
1. Subepithelial deposits
2. Nephritis along with acute Renal failure
3. Low complement levels
4. All

Correct answer: 4. All

Explanation: Ans. 'a' i.e., Subepithelial deposits; 'b' i.e., Nephritis along with acute renal failure; `c' i.e., Low complement levelsPSGN appears 1 to 4 weeks after a streptococcal infection of pharynx or skin (impetigo).o Occurs most frequently in children 6 to 10 years of age, but adults any age can be affected.o The lesions are caused by immune complex deposition and activation of complement --> Complement level decreases(C3 and CHSO are decreased with normal C4) --> Complement level returns to normal in 6-8 weeks.o Clinically child presents with acute nephritic syndrome, i.e. hematuria, oliguric acute renal failure, azotemia, proteinuria, hypertension & edema.RememberPSGN causes acute renal failure, but not chronic renal failure --) More than 95% of affected children eventually recover totally with conservative therapy.